Lipase that is regulated by glucagon:
1. Lipoprotein lipase
2. Hormone sensitive lipase
3. Gastric lipase
4. Pancreatic lipase

Correct answer: 2. Hormone sensitive lipase

Explanation: Ans. B. Hormone sensitive lipase(Ref: Harper 31/e page 242)Hormone Sensitive LipaseThe activity of this enzyme is under the control of hormones, hence the name.Present in the adipose tissue.Involved in the metabolism of triacylglycerol stored in the adipose tissue.Hence mobilisation of fatty acids from adipose tissue during starvation and diabetes mellitus